Which of the following has the highest chance of transmission of HIV?
1. Anal intercourse
2. Transfusion of blood products
3. Kidney transplant
4. Transplacental transmission

Correct answer: 2. Transfusion of blood products

Explanation: The approximate chance of infection/exposure is given below of various scenario a) Sexual intercourse i.e oral, anal or vaginal : 0.1 - 1.0 % b) Blood and blood product transfusion : >90% c) Tissue and organ donation : 5 to 90 % d) Sharing needles by drug addicts : 0.5 - 1.0 % e) Mother to baby : 30 % Ref: Textbook of microbiology By Ananthanarayanan, 6th Edition, Page 551